Patient says he hears music every time when someone touches his thumb. This is an example of
1. Reflex hallucination
2. Functional  hallucination
3. Visual hallucination
4. Extra campine hallucination

Correct answer: 1. Reflex hallucination

Explanation: Functional hallucination : Here the stimulus and perecption are in same modality.
v/s
Reflex hallucination : Here the stimulus and pereception are in different modality.